Stretch stimulus is mediated by which of the following receptors?
1. Merkel's disc
2. Meissner
3. Golgi tendon organ
4. Muscle spindle

Correct answer: 4. Muscle spindle

Explanation: Stretch reflex (Myotatic reflex) is mediated by Muscle Spindle. Stretch reflex occurs when the muscle is stretched passively which activates Ia fibres and alpha motor neuron is activated and brings out contraction. Inverse Stretch reflex is mediated by Golgi tendon organ. Inverse stretch reflex/Golgi tendon reflex/Inverse myotatic reflex is disynaptic and is the opposite of the stretch reflex Golgi tendon reflex is a protective mechanism to prevent tearing of the muscle or avulsion of the tendon from its attachments to the bone by inhibitory effect from the Golgi tendon organ,when extreme tension on muscle is applied. It leads to instantaneous relaxation of the muscle called as lengthening reaction.